Testicualr tumor with best prognosis is :
1. Teratoma
2. Seminoma
3. Choriocarcinoma
4. All of the above

Correct answer: 2. Seminoma